Rakesh, a 7 yr old boy had itchy, excoriated papules on the exposed parts of the arms and legs for 3 yrs. The disease was most severe in the rainy season and improved completely in winter. The most likely diagnosis is:
1. Insect bite hypersensitivity
2. Scabies
3. Urticaria
4. Atopic dermatitis

Correct answer: 1. Insect bite hypersensitivity

Explanation: The features given in yje question or insect bite. Condition Site Typical features Insect bites Anywhere Typical erythematous papules with central puncta are seen. Scabies Groin, axillae, between fingers and toes, beneath breasts Typical excoriated papules, burrows are seen with marked pruritus. Urticaria Anywhere Wheals, sometimes with surrounding flare; pruritus